Larva found in muscle is -
1. Trichinella spiralis
2. Ancylostoma duodenale
3. Trichuris trichura
4. Enterobius vermicularis

Correct answer: 1. Trichinella spiralis

Explanation: Larvae of trichinella spiralis becomes encysted in the striated muscle fiber and at the time of encystment measures 1mm in length by 36 micro metre in diameter. Larva in cyst is coiled and hence the name spiralis. Ref : panikers textbook of Medical parasitology 8th edition page 171